Tolerance develops to all of the following actions of opioids except?
1. Miosis
2. Analgesia
3. Euphoria
4. Nausea and vomiting

Correct answer: 1. Miosis

Explanation: Repeated administration of morphine results in the development of tolerance to some of its effects including respiratory depression,analgesia, sedation and euphoriant effects and other CNS depressant effects. Constipation and miosis shows no tolerance Ref: KD Tripathi 8th ed.